Definition of severe acute malnutrition includes which of the following?
1. Wt for Ht <- 2 SD
2. Wt for Ht <- 3 SD
3. Wt for age <-2 SD
4. Wt for age <-3 SD

Correct answer: 2. Wt for Ht <- 3 SD

Explanation: b. Wt for Ht <-3SD(Ref: Ghai 9/e p 97)Wt for Ht <-3SD on WHO growth standard is one of the diagnostic criteria for severe acute malnutrition.